Treatment of choice for genital was in pregnancy is:
1. Salicylic acid with lactic acid solution
2. Imiquimod
3. Podophyllotoxin
4. Cryotherapy

Correct answer: 4. Cryotherapy

Explanation: During pregnancy, electrocoagulation, cryotherapy, or CO2 laser therapy should be administered at approximately 32 weeks to avoid, on one hand, post-treatment necrosis, which may last as long as 4-6 weeks, and to prevent, on the other hand, recurrence if treated too early. Podophyllin, podofilox, and imiquimod should not be used during pregnancy. Also know: Treatment of Condyloma Acuminata: Applied by health care provider Bichloracetic acid or trichloroacetic acid, 50-80% solution Podophyllin 10-25% in tincture of benzoin Cryosurgery, electrosurgery, simple surgical excision, laser vaporization Applied by patient Podofilox 0.5% solution or gel Imiquimod 5% cream (topically active immune enhancer that stimulates production of interferon and other cytokines) Ref: Bornstein J. (2013). Chapter 39. Benign Disorders of the Vulva & Vagina. In A.H. DeCherney, L. Nathan, N. Laufer, A.S. Roman (Eds), CURRENT Diagnosis & Treatment: Obstetrics & Gynecology, 11e.